Which of the following is seen in osteoporosis-
1. Low Ca, high PO4, high alkaline phosphatase
2. Low Ca, low PO4, low alkaline phosphatase
3. Normal Ca, normal PO4, normal alkaline phosphatase
4. Low Ca, low PO4, normal alkaline phosphates

Correct answer: 3. Normal Ca, normal PO4, normal alkaline phosphatase

Explanation: *Serum calcium, phosphate and alkaline phosphatase are normal in osteoporosis. aboratory diagnosis and Biochemical assessment of osteoporosis * Serum and urine calcium. * Alkaline phosphatase. * Hydroxyproline. * Ostecalcin. * Hydroxylysine glycosides. * Procollagen I extension peptides * Crosslink assays * Alpha2 HS glycoprotein * Acid phosphatase * Biochemical estimation of bone loss. Ref: Ebnezar 4th/e p.669